A 30 year old male wants capping of his tooth. History of previous dental treatment in relation to 25. IOPA examination of 24 reveals radiopaque material in root canals and no periapical radiolucency. Dentist prepares the tooth and final impression is made. On next appointment, he decides to cement the crown with zinc phosphate. He mixes the zinc phosphate cement on a cool glass slab, adding a small powder to the liquid every 20 seconds. This  is done to gain which of the following advantages?
1. Stronger final set
2. Lower solubility
3. Greater viscosity
4. Both 1 & 2

Correct answer: 4. Both 1 & 2

Explanation: The powder is added in small increments. Mixing is done with stainless spatula using brisk circular motion. Each increment is mixed for 15 to 20 seconds. A large area is covered during mixing in order to dissipate the exothermic heat. Maximum amount of powder should be incorporated in the liquid to ensure minimum solubility and maximum strength. 
Note: An appropriate consistency is attained by addition of more powder to the liquid and not by allowing a thin mix to thicken.